All of the following are used in organophosphorus poisoning except:
1. Pralidoxime
2. Atropine
3. Activated charcoal
4. Naltrexone

Correct answer: 4. Naltrexone